Mifepristone used for medical abortion is:
1. Anti estrogen
2. Anti progesterone
3. Anti folate
4. Prostaglandin derivative

Correct answer: 2. Anti progesterone